The most common type of tracheoesophageal fistula is
1. Esophageal atresia with out tracheosophageal fistula
2. Esophageal atresia with proximal tracheosophageal fistula
3. Esophageal atresia with distal tracheoesophageal fistula
4. Esophageal atresia with proximal and distal tracheosophageal fistula

Correct answer: 3. Esophageal atresia with distal tracheoesophageal fistula

Explanation: The most common type of TRACHEO-OESOPHAGEAL FISTULA(TOF) is Atresia with distal TOF constituting 85% of all. It is also known as type C according to Gross classification of TOF. Reference : SRB's Manual of Surgery, 6th Edition, page no = 794.